Bile acids are reabsorbed from ?
1. Duodenum
2. Proximal jejunum
3. Distal jejunum
4. Ileum

Correct answer: 4. Ileum

Explanation: Ans. is 'd' i.e., Ileum